Alkaline phosphatase is elevated in all except -
1. Rickets
2. Osteomalacia
3. Hypoparathyroidism
4. Hypophosphatemia

Correct answer: 3. Hypoparathyroidism

Explanation: Bone alkaline phosphatase activity is normal and bone resorption is diminished in hypoparathyroidism, while patients affected by PHP often have increased bone turnover and thus increased alkaline phosphate activity. Ref essential orthopaedic maheshwari and mhaskar 6/e